Cobble stone appearance is seen in:
1. Ulcerative colitis
2. Crohn's disease
3. Appendicitis
4. Carcinoma rectum

Correct answer: 2. Crohn's disease

Explanation: Crohn's Disease Earliest gross pathologic lesion is a superficial aphthous ulcer noted in the mucosa. Linear ulcers may coalesce to produce transverse sinuses with islands of normal mucosa in between (cobblestone appearance) Characteristic histologic lesions of Crohn's disease are noncaseating granulomas with Langerhan's giant cells.